Galactosemia enzyme defect:
1. Fructokinase
2. Glucokinase
3. Galactose 1 Phosphate Uridyl transferase
4. Glucose 6 Phosphatase

Correct answer: 3. Galactose 1 Phosphate Uridyl transferase

Explanation: Ans. C. Galactose 1 Phosphate uridyl transferase(Ref: Harper 31/e page 191)GalactosemiaEnzyme DeficiencyGalactose 1 Phosphate uridyl transferase (Classic Galactosemia)GalactokinaseUDP Hexose 4 Epimerase